In the case of carcinoma breast with Her -2 neu immunohistochemistry staining, which of the following score needs further FISH study?
1. 0
2. 1+
3. 2+
4. 3+

Correct answer: 3. 2+